Juxta glamerular cells secretes
1. Angiotensin
2. Renin
3. Atrial natriuretic peptide
4. Erythropoietin

Correct answer: 2. Renin

Explanation: i.e. (Renin): (670-Ganong 23rd)RENIN - is a glycoprotein hormone secreted by the granular cells (Juxtaglomerular cells) of the Juxta glomerular apparatus.* Juxtaglomerular apparatus (JGA) lies at hilum of glomerulus** (Juxta means near)Secretion of renin is stimulated by four factors1. Fall in arterial blood pressure2. Reduction in the volume of extracellular fluid3. Increased sympathetic activity4. Decreased load of sodium and chloride in macula densaATRIAL - NATRIURETIC PEPTIDE : secreted by atrial musculature of the heart*** ANP increases excretion of sodium ions through urine (natriuresis)* ANP causes dilatation of vessels (vasodilation) and lowering blood pressure* ANP is responsible for escape phenomenon and prevention of edema in primary hyperaldosteronism in spite of increased volume of ECFERYTHROPOIETIN is secreted by interstitial cells in the peritubular capillary bed of kidney (85%) and by perivenous hepatocytes in the liver (15%)The principal site of inactivation of erythropoietin is the liverANGIOTENSINOGEN - synthesized in the liver*Its circulating level is increased by glucocorticoids thyroid hormones, estrogen, several cytokines and angiotensin II